Hydrostatic test is done in ?
1. Dry drowning
2. Wet drowning
3. Near drowning
4. Infanticide

Correct answer: 4. Infanticide

Explanation: Ans. is 'd' i.e., Infanticide Hydrostatic test (lung float test or docimasia), is used in determining whether lungs have undergone respiration. It has been employed in cases of suspected infanticide to help determine whether or not an infant was stillborn.In the test, lungs that float in water are thought to have been aerated, while those that sink are presumed to indicate an absence of air.